Which of the following is a prokinetic drug?
1. Domperidone
2. Cimetidine
3. Ondansetron
4. Hyoscine

Correct answer: 1. Domperidone

Explanation: Ans. is 'a' i.e., Domperidone Gastrokinetic (prokinetic drugs) These are the drugs which promote gastrointestinal transit and speed gastric emptying by enhancing coordinated propulsive motility. Prokinetic drugs are - Metoclopramide, Domperidone, Cisapride, Mosapride, Tegaserod, renzapride, prucalopride. Prokinetic drugs can act by ? 5HT4 agonistic activity D2 and 5-HT3 antagonistic activity Both these actions will increase the release of Ach and thereby motility of GIT.